Direct standardisation is also known as
1. Changing base method
2. Fixed base method
3. Hanging base method
4. None of the above

Correct answer: 2. Fixed base method

Explanation: DIRECT STANDARDIZATION Two examples of direct standardization are given. In the first, a "standard population" is selected. A standard population is defined as one for which the numbers in each age and sex group are known. A frequently used standard age-composition is shown in Table 3. The standard population may also be "created" by combining 2 populations; this is shown in the second example. The next step is to apply to the standard population, the age-specific rates of the population whose crude death rate is to be adjusted or standardized. As a result, for each age group, an "expected" number of deaths (or events) in the standard population is obtained; these are added together for all the age groups, to give the total expected deaths. The final operation is to divide the "expected" total number of deaths by the total of the standard population, which yields the standardized or age-adjusted rate. Ref : Park 23rd edition Pgno : 58